The fastest type of nerve fibers are
1. A
2. B
3. C
4. All

Correct answer: 1. A

Explanation: According to erlanger and gasser classification, A fibers are myelinated and has large diameter The conduction velocity is 120m per second Ref:Guyton and Hall textbook of medical physiology 12th edition,page number:73